Which of the following, among axillary lymph nodes, is a terminal group
1. Pectoral
2. Central
3. Lateral
4. Apical

Correct answer: 4. Apical

Explanation: MAMMARY GLAND:- Modified sweat gland in superficial fascia of pectoral region. Rudimentary in males. Located in superficial fascia. Extend: vertically- 2nd to 6th rib Horizontally- lateral border of sternum to mid axillary line. LYMPHATIC DRAINAGE:- Lymph nodes:- 1. Axillary-anterior, posterior, central and lateral. 2. Internal mammary. 3. Supraclavicular. 4. Posterior intercostal 5. Cephalic. Lymphatics draining the breast:- 1. Superficial- drain skin of the breast except that of nipple and areola. 2. Deep-drain parenchyma of the breast , and skin of nipple and areola. 3. A plexus of lymph ceasefires deep to areola is called subareolar plexus of sappy.The subareolar plexus and most of the lymph from the breast drains into anterior group of axillary lymph nodes. Lymphatic drainage:- 1. Lateral quadrant of breast-drains into anterior axillary/ pectoral group of lymph nodes. 2. Medial quadrant- drains into Internal mammary 3. Lower and medial quadrant- communicates with subdiaphragmatic and subperitoneal lymph plexus. 4. Deep surface of breast-apical group . 5. A few lymph vessels from the breast follow the posterior intercostal arteries and drain into posterior intercostal nodes. About 75% -axillary 20%-internal mammary 5%-posterior intercostal lymph nodes. Among the axillary lymph nodes, most of lymph goes into anterior axillary and remaining into posterior and apical. The lymph from anterior and posterior groups first goes into central and lateral groups and then through them into supraclavicular nodes.Apical group of lymph nodes are terminal. Some lymph vessels from the inferomedial quadrant of breast communicates with the subperitoneal lymph plexus and carry cancer cells to it. From here cancer cells migrate transcoelomically and deposit over ovary- krukenberg's tumor. {Reference:vishram singh page no.48}